Femto Laser assisted cataract removal done using laser of how much wavelength
1. 1064
2. 1053
3. 532
4. 193

Correct answer: 2. 1053

Explanation: Femtolaser (1053 nm) is the new paradigm in the Ophthalmology. Its uses are: *Laser assisted cataract surgery *Refractive surgery * Keratoplasty *Intracorneal ring segments for keratoconus Nd:YAG laser has a wavelength of 1064 nm, Frequency doubled Nd:YAG has wavelength of 532 Argon Fluoride laser has a wavelength of 193 nm